Which of the following is not a hyaline cartilage-
1. Articular cartilage
2. Thyroid cartilage
3. Meniscus
4. Nasal septum

Correct answer: 3. Meniscus

Explanation: Ans. is 'c' i.e., Meniscuso Meniscus is fibrocartilageo TMJ is a synovial joint of Condylar variety.o The articular surfaces are covered with fibrocartilage. The joint cavity' is divided into upper and lower parts by an intra-articular disc.CARTILAGE SITESo Hyaline cartilage--Articular cartilage in synovial joints Cricoid, thyroid, trachea, bronchiCostal cartilageNasal cartilageEpiphyseal plateArytenoid cartilageo Fibrocartilage--Labrum - glenoid acetabular SymphysisArticular disco Elastic cartilage--Eustachian tube External auditory meatus - auricleComiculate, cuneiform cartilage